Which of the following is not a clinical manifestation of parvovirus infection?
1. Erythema infectiosum
2. Polyarthropathy
3. Pure red cell aplasia
4. Tropical sprue

Correct answer: 4. Tropical sprue

Explanation: ParvovirusClinical manifestations:Erythema infectiosumPolyarthropathy syndromeTransient aplastic crisisPure red cell aplasia/chronic anemiaHydrops fetalisHepatitis, vasculitis, myocarditis, glomerulosclerosis, CNS manifestationsNote:Tropical sprue is most often caused by infectious agents like G. lamblia, Yersinia enterocolitica, C. difficle, Cryptosporidium parvum, and Cyclospora.(Ref: Harrison's 18/e p1435, 1478 ; 17/e p1116-1117)